Max. Hepatitis C virus transmission to foetus in pregnancy depends on -
1. Duration of illness
2. Time of infection
3. Route of delivery
4. High level of HCV RNA

Correct answer: 4. High level of HCV RNA

Explanation: High levels of hepatitis C virus RNA indicates a higher chance of transmission to the fetus. REF:Textbook of microbiology, Ananthanarayan, and Paniker. Page no.:549